All are contents of the middle ear except:
1. Stapedius
2. Tensor tympani
3. Facial nerve
4. Chorda tympani

Correct answer: 3. Facial nerve

Explanation: All the other structures with the tympanic plexus is described as contents of the middle ear cavity
The facial nerve is described as a part of the medial and posterior wall of the tympanic cavit